Which of the following is known as peakless insulin?
1. Isophane
2. Degludec
3. Glulisine
4. Lispro

Correct answer: 2. Degludec

Explanation: Long acting insulin have onset of action after 30minutes of administration and do not exhibit a peak action unlike other forms of insulin. They are designed to provide constant values in blood for the entire day. Insulin type Onset of action Peak action Effective duration Glargine 0.5-1hr Peakess/ flat 24 hours Detemir 0.5-1hr Peakless/flat 17 hours Degludec 0.5-1 hr Peakless/flat 42 hours